The alcohol content in 'Absolute alcolol' -
1. 90%
2. 95%
3. 99.95%
4. 100%

Correct answer: 3. 99.95%